In a patient with gestational DM, all of the following conditions are seen in the mother or the newborn, except ?
1. Polyhydramnios in the mother
2. Congenital malformation of fetus
3. Macrosomia of the newborn
4. Hypocalcemia in the newborn

Correct answer: 2. Congenital malformation of fetus

Explanation: - Gestational DM starts from around 24 - 28 weeks andOrganogenesis of the fetus is completed in 9-11 wks. Therefore, Organs of the fetus are already formed . So anomalies are not seen if the sugars increase after 24 weeks ! - But if mother is an overt diabetic ( i.e. She had diabetes even before she was pregnant) then it can lead to anomalies like NTD, renal agenesis, caudal regression, heart defects, etc. - So gestational diabetes can cause polyhydramnios in the mother among many other problems and macrosomia, hypocalcemia and hypoglycemia in the newborn